Incudomalleolar joint is a;
1. Saddle joint
2. Pivot joint
3. Gliding joint
4. Hinge joint

Correct answer: 1. Saddle joint

Explanation: The incudomalleolar joint is a saddle joint while the incudostapedial is a ball and socket joint. Both of them are synovial joints covered by capsular ligament.